True regarding bronchopulmonary segment is /are
1. Avascular intersegmental planes
2. Complete vascular segment
3. Pulmonary vein occupy central position
4. One segment drains in >1 pulmonary vein

Correct answer: 4. One segment drains in >1 pulmonary vein

Explanation: D i.e. 1 Segment drains in > 1 pulmonary vein